Name the paired cartilages -
1. Thyroid
2. Cricoid
3. Corniculate
4. Hyoid

Correct answer: 3. Corniculate

Explanation: i) Unpaired : - Thyroid, cricoid, epiglottis.
ii) Paired : - Arytenoid, Corniculate, cuneiform